In tandem bullet, the number of bullets fired is ?
1. 1
2. 2
3. 3
4. 4

Correct answer: 2. 2